A patient presents with right to left shunt. Oxygen content in arterial and venous side are 18 and 14 ml/100 ml respectively. Oxygen content at pulmonary capillary is 20. What is the percentage shunting of cardiac output?
1. 23%
2. 33%
3. 43%
4. 53%

Correct answer: 2. 33%

Explanation: Normal O2 content Arterial - 20ml Venous - 14 ml Arteriovenous difference - 6 ml In the given condition, O2 content Arterial - 18 ml Venous - 14 ml Arteriovenous difference - 4 ml i.e. 1/3 of the normal is reduced in the given shunting. So, there will be a reduction of 33% or 2 ml